In all of the following diseases chronic carriers are found except:
1. Measles
2. Typhoid
3. Hepatitis B
4. Gonorrhoea

Correct answer: 1. Measles

Explanation: Ans. is 'a' i.e. Measles In measles the only source of infection is a case of measles. Carriers are not known to occur.For more see Q no. 31 of Dec 1998.